True about follicular carcinoma of thyroid
1. More common in endemic area
2. Non-encapsulated
3. Mean age 40 years
4. Histopathology differentiates adenoam from carcinoma easily

Correct answer: 1. More common in endemic area

Explanation: Answer- A. More common in endemic areaAn increased incidence of cancer (usually follicular) has been reported from endemic areas. Dominant or rapidly growing nodules in longstanding goiters should always be subjected to aspiration cytology.